Strategies for prevention of Neonatall Tetanus include all of the following except -
1. 5 clean practices
2. Giving penicillin to all the new borns
3. 2 doses of TT to all pregnant women
4. Immunizing all married women

Correct answer: 2. Giving penicillin to all the new borns

Explanation: Injection penicillin to all neonate. Reference:Park's textbook of preventive and social medicine,K.Park,23rd edition,page no:310-313.